Carbohydrate related to blood grouping?
1. Arabinose
2. Xylulose
3. Xylose
4. Fucose

Correct answer: 4. Fucose

Explanation: H antigen is present on the surface of RBC H antigen is related to sugar FUCOSE H antigen (Fucose) + N- acetyl galactosamine A H antigen (Fucose) + Galactose B H antigen (Fucose) + Both AB H antigun (Fucose) - Both O MC Blood Group = O+ Rarest Blood Group = Oh-ve (Bombay Blood group)